Which of the following amino acid in a protein is involved in urea cycle and is required for synthesis of Nitric Oxide?
1. Arginine
2. Histidine
3. Tryptophan
4. Lysine

Correct answer: 1. Arginine